Onodi cells are seen in-
1. Sphenoid sinus
2. Maxillary sinus
3. Anterior ethmoidal sinus
4. Posterior ethmoidal sinus

Correct answer: 4. Posterior ethmoidal sinus

Explanation: Ans. is 'd' i.e., Posterior ethmoidal sinus o Ethmoidal sinuses are divided into two groups :Anterior groupi) Anterior ethmoidal air cellsAnterior ethmoidal air cells drain into- either the ethmoidal infundibulum or the frontonasal duct. The most anterior group, agger nasi cells, are related to the lacrimal sac and duct. Some air cells may invade the orbital floor. These are known as the Halier' cells.ii) Middle ethmoidal air cellsAlso known as bullar sinuses, the middle ethmoidal air cells form a round elevation called ethmoidal bulla on the lateral wall of the nasal cavity. The middle ethmoidal air cells drain- into the middle meatus by one or more orifices on or above the ethmoidal bulla.Posterior group# Posterior ethmoidal air cells usually drain- into the superior meatus. The posterior group lies very close to the optic canal and optic nerve. The Onodi cell is usually regarded as the most posterior ethmoid cell that pneumatizes lateral and superior to the sphenoid sinus and is intimately associated with the optic nerve.